A 40 year old female patient presented with dysphagia to both liquids and solids and regurgitation for 3 months. The dysphagia was non-progressive was non-progressive. What is the most likely diagnosis?
1. Carcinoma of the esophagus
2. Lower esophgeal mucosal ring
3. Achalasia cardia
4. Reflux esophagitis with esophageal stricture

Correct answer: 3. Achalasia cardia

Explanation: Presence of dysphagia to both solids and liquids suggests the diagnosis of achalasia Functional Grades of Dysphagia: Grade Definition I Eating Normally II Requires liquids with meals III Able to take semisolids but unable to take any solid foods IV Able to take liquids only V Unable to take liquids, but able to swallow saliva VI Unable to swallow saliva Ref: Sabiston 20th edition Pgno: 1049